All of the following hormones are glycoproteins, EXCEPT:
1. TSH
2. FSH
3. LH
4. GH

Correct answer: 4. GH

Explanation: GH or somatotropin is a 191-amino-acid polypeptide hormone (MW 21,500) synthesized and secreted by the somatotrophs of the anterior pituitary. The gonadotropins include LH, FSH, and hCG. Together with TSH, they constitute the glycoprotein family of pituitary hormones. Each hormone is a glycosylated heterodimer containing a common -subunit and a distinct -subunit that confers specificity of action. Ref: Javorsky B.R., Aron D.C., Findling J.W., Tyrrell J.B. (2011). Chapter 4. Hypothalamus and Pituitary Gland. In D.G. Gardner, D. Shoback (Eds), Greenspan's Basic & Clinical Endocrinology, 9e.